Guttman sign is seen in
1. Branchial plexus block
2. Supra clavicular block
3. Stellate ganglion block
4. None

Correct answer: 3. Stellate ganglion block

Explanation: Guttman sign is ipsilateral nasal stuffiness seen in stellate ganglion block.